Pyruvate can be converted into all of  the following in a single step except:
1. Phosphoenol pyruvate
2. Alanine
3. Acetyl CoA
4. Lactate

Correct answer: 1. Phosphoenol pyruvate